Most diffusible ion in excitable tissue is
1. Na+
2. K+
3. Ca++
4. Cl-

Correct answer: 2. K+

Explanation: Most diffusible ion in excitable tissue skeletal muscle and nerve cell is potassium Ref: www.gradestack.com